A 40 year old female presented with numerous, nonitchy, erythematous scaly papules (lesions) on trunk, with few oral white mucosal plaques. She also had erosive lesions in perianal area. The probable diagnosis is
1. Psoriasis
2. Secondary syphilis
3. Lichen planus
4. Disseminated candidiasis

Correct answer: 2. Secondary syphilis

Explanation: B i.e. Secondary syphilis Secondary syphilis presents with generalized, symmetrical, nonitchy, coppery red maculoppular lesions (+- scales) on trunk, extremities and even palm and solesQ. Oral and genital superficial mucosal erosion (patches) are painless silver-grayQ surrounded by red periphery. And warm, moist, intertriginous areas (such as perianal area, vulva and scrotum) show large, hypertrophic, coalesced gray-white, highly infections papules (Condylomata lata)Q.